A thin radiolucent tine which follows the root outline on X-rays is
1. Lamina dura
2. Periodontal ligament
3. Nutrient canal
4. Pulp

Correct answer: 2. Periodontal ligament